Which of the following antibiotics is least Nephrotoxic?
1. Streptomycin
2. Gentamycin
3. Polymixin B
4. Doxycycline

Correct answer: 4. Doxycycline

Explanation: Doxycycline is metabolized in the liver and excreted through the bile and not kidney and hence it is not nephrotoxic. Ref: KDT, 6th Edition, Pages 713, 721, 734; Drug Injury: Liability, Analysis and Prevention, 2nd Edition, Page 438